Mullerian inhibiting substance in utero is secreted by-
1. Leydig cells
2. Sertoli cells
3. Granulosa cells
4. Theca cells

Correct answer: 2. Sertoli cells

Explanation: Ans. is 'b' i.e., Sertoli cells o Mullerian inhibiting substance or Anti - mullerian hormone is secreted by sertoli cells in utero by male fetus, during developmental weeks 7 to 8.o AMH causes regression of the ipsilateral paramesonephric (mullerian duct) system, and this involution is completed by 9 to 10 weeks' gestation. AMH also controls the rapid gubemacular growth necessary for the transabdominal descent of the testis.o In contrast, girls have undetectable levels of AMH levels until puberty, when serum levels become measurable. In girls it is secreted by granulosa cells of pre antral and antral follicles. But this is only at puberty, never in utero.